Not true about Hemochromatosis is?
1. Hypogonadism
2. Arthropathy
3. Diabetes mellitus
4. Desferrioxamine is treatment of choice

Correct answer: 4. Desferrioxamine is treatment of choice

Explanation: Desferrioxamine is treatment of choice REF: Harrison's Internal Medicine 17th edition chapter 351 The characteristic clinical features of hemochromatosis in order of frequency are Hepatomegaly Skin pigmentation Diabetes mellitus Arthropathy Cardiac disease Hypogonadism Treatment of hemochromatosis Therapy of hemochromatosis involves removal of excess body iron and supportive treatment of damaged organs Removal of excessive body iron Phlebotomy is the treatment of choice Chelating agents such as desferrioxamine are alternative agents and indicated when anemia and hypoproteinemia are severe enough to preclude phlebotomy.